Atria mortis other name for -
1. Gateways of death
2. Gateways of life
3. Gateways of air
4. Gateways of water

Correct answer: 1. Gateways of death

Explanation: Atria mortis is another name for gateways of death. It refers to circulatory, cerebral and respiratory system whose stoppage results in death.